CrPC sec. 61-69 deals with
1. Coroner inquest
2. Summons
3. Police inquest
4. Magistrate inquest

Correct answer: 2. Summons

Explanation: Summons/Subpoena is a document compelling the attendance of a witness in a court of law, under penalty, on a particular day, time and place for the purpose of giving evidence. Code of Criminal Procedure, from section 61 to 69 deals with the topic of summons. Ref: Krishnan vij Textbook of Forensic Medicine and Toxicology; 5th ed; Page no: 10